A QRS duration between 100 and 120milliseconds suggests all of the following, except
1. Normal
2. Left anterior Fascicular Block
3. eft posterior Fascicular Block
4. Left Bundle Branch Block

Correct answer: 4. Left Bundle Branch Block

Explanation: Ans. is 'd' i.e., Left Bundle Branch Block